Which of the following is not the source of cytosolic NADPH:-
1. Isocitrate dehydrogenase
2. ATP citrate lyase
3. Malic enzyme
4. G6PD

Correct answer: 2. ATP citrate lyase

Explanation: SOURCE of Cytosolic NADPH HMP pathway Malic enzyme Isocitrate dehydrogenase Main enzyme - G6PD alternative pathway to glycolysis and TCA cycle for the oxidation of glucose the main pathway for biosynthesis of NADPH and pentoses. Converts malate to pyruvate NADPH and CO2 are generated NADPH mainly utilized for fatty acid synthesis 3 isoenzymes One, which uses (NAD+) in Mitochondria other two use NADP+ in Mitochondria and cytosol